Which of the following amino acid is required for the synthesis of haem?
1. Lysine
2. Glycine
3. Arginine
4. Glutamine

Correct answer: 2. Glycine

Explanation: Glycine is the starting amino acid for porphyrin synthesis.